MUGA scan not useful in:-
1. Left ventricular ejection fractio
2. Regional wall motion
3. Regional wall perfusion
4. Stroke volume

Correct answer: 3. Regional wall perfusion

Explanation: MUGA - Multi-Gated Acquisition scan In this scan, Tc99-m labeled RBC area injected into the patient and gamma camera is focused on heart, then the emitted radio-active substances are assessed using the gamma camera. Useful for measuring Ventricular function of the heart, Ventricular ejection fraction, Stroke volume Ventricular wall motion.